A data collected for specific purpose and used for the same purpose is
1. Original data
2. Primary data
3. Secondary data
4. Specific data

Correct answer: 2. Primary data